Treatment of choice for pleomorphic adenoma is-
1. Excision of tumor
2. Superficial parotidectomy
3. Radical parotidectomy
4. Radiotherapy

Correct answer: 2. Superficial parotidectomy

Explanation: Ans. is 'b' i.e., Superficial parotidectomy * "Though pleomorphic adenoma is encapsulated, it sends pseudopods into the surrounding gland which are left behind if the tumour is simply shelled out. It is therefore essential that surgical excision of the tumour should include normal gland tissue around it. In the parotid, it amounts to superficial parotidectomy."